Which of the following rod is not used with the surveyor?
1. Incisal guide pin
2. Analyzing rod
3. Carbon marker
4. Wax trimmer

Correct answer: 1. Incisal guide pin